In a pregnant lady of 8 weeks and 4 days, VDRL was done which confirmed the presence of treponema pallidum infection. The drug of choice for treatment is
1. Erythromycin
2. Penicillin
3. Azithro
4. Doxy cycline

Correct answer: 2. Penicillin

Explanation: DOC for syphilis is benzathine penicillin. The causative agent for syphilis is Treponema pallidum. Transplacental transmission is the most common route Newborn may have jaundice petechiae or purpuric skin lesions, lymphadenopathy, rhinitis, pneumonia, myocarditis, nephrosis, or long-bone involvement. Treatment: Benzathine penicillin G, 2.4 million units I.M. as a single injection--some recommend a second dose 1 week later